Which drug acts through alpha subunit of GABA ?
1. Benzodiazepine
2. Barbiturate
3. Haloperidol
4. TCA

Correct answer: 1. Benzodiazepine

Explanation: Ans. is 'a' i.e., Benzodiazepine o The exact subunit structures of native GABA receptors are still are unknown, but it is thought that most GABA receptor are composed of a, b and y subunits that Coassemble with some uncertain stoichiometry. o Binding site of GABA is on beta-subunit. o Benzodiazepine site is located on the alpha subunit but the stabilization or completion of that site in the assembled structure also requires the y subunit. "The photo-affinity labelling of the benzodiazepine site has confirmed, using isoform - antibodies, to be on an alpha and not a y subunit". -- Receptor subunit & complexes. o So, BZD binding site is present on a subunit at alpha - y interface, and both a & y units are required for BZDs action. o Barbiturates act on picrotoxin site that is located usually on beta- subunit at alpha - beta interface. Both alpha & beta subunit are required for barbiturates action. GABA ---> beta - subunit BZD ---> alpha subunit at a - y interface, i.e. a/g site Barbiturate - ---> beta subunit at alpha - beta interface, i.e. a/b site